In PA view CXR, right border of the heart is contributed by-
1. pulmonary trunk
2. ascending aorta
3. left atrium
4. right ventricle

Correct answer: 2. ascending aorta

Explanation: Right border of heart SVC Right atrium IVC Ascending aorta